Which of the following carcinomas commonly presents with neck nodes -
1. Cricoid
2. Glottic
3. Epiglottis
4. Anterior commissure

Correct answer: 3. Epiglottis